Hallucinations are produced by
1. LSD
2. Morphine
3. Paraxetine
4. Chlorpromazine

Correct answer: 1. LSD

Explanation: Hallucinogens- alters perception, cognition, and mood with minimal effects on memory, orientation ergot alkaloid derivatives like LSD indole alkylamines like psilocybin, dimethyltryptamine (DMT), phenethylamines like mescaline and 3,4-methylenedioxymethamphetamine (MDMA or Ecstasy) dissociative anaesthetics (phencyclidine, ketamine ) stimulants (cocaine and most amphetamines) cannabis are excluded from hallucinogens although under some circumstances they can produce hallucinogenic effects. Medications (at high or frequent doses) produce hallucinations Ex:-steroids, antidepressants, anticholinergics Reference: p.1333 chap. 11.7 Hallucinogen-Related Disorders (Kaplan & Sadock's Comprehensive Textbook of Psychiatry, 9th Edition)